Which of the following has least sensation for pain
1. Lips
2. Anterior tongue
3. Gingiva
4. Buccal mucosa

Correct answer: 4. Buccal mucosa